Which of the following is defined as generalized HIV epidemics ?
1. Prevalence in pregnant women > 0.5 %
2. Prevalence in a population > 0.5 %
3. Prevalence in pregnant women > 1%
4. Prevalence in a population > 1%

Correct answer: 3. Prevalence in pregnant women > 1%

Explanation: Ans. is 'c' i.e., Prevalence in pregnant women > 1% Low level HIV epidemcsHIV prevalence has not consistently exceeded 5% in any defined sub-population.Concentrated HIV epidemicsHIV prevalence is consistently over 5% in at least one defined sub-population but is below 1% in pregnant women in urban areasGeneralized HIV epidemicsHIV prevalence consistently over 1% in pregnant women